Concentration of Local anesthetic agent used for Bier's block is
1. 0.50%
2. 1-2%
3. 4%
4. 5%

Correct answer: 1. 0.50%

Explanation: 0.5% (Bier's block: Intravenous regional anesthesia)